Energy reserve of the body is:
1. Carbohydrate
2. Triglyceride
3. Proteins
4. Fibres

Correct answer: 2. Triglyceride

Explanation: FATS FUNCTION They are the concentrated fuel reserve of the body (triglyceride) Lipids are the constituents of membrane structure and regulate the membrane permeability (phospholipids and cholesterol) They serve as a source of fat soluble vitamins (A, D, E and K). Lipids are important as cellular metabolic regulators (steroid hormones and prostaglandins)